Salk vaccine is a
1. Live vaccine
2. Live attenuated vaccine
3. Toxoid
4. Killed vaccine

Correct answer: 4. Killed vaccine